Active agent of cannabis resemble which endogenous compound
1. Endorphin
2. Endomorphins
3. Anandamine
4. Enkaphalin

Correct answer: 3. Anandamine

Explanation: Anandamide is a neurotransmitter produced in the brain that binds to the THC receptors. It's been called the "bliss molecule," aptly named after ananda, the Sanskrit word for "joy, bliss, or happiness." It is considered an endocannabinoid -- a substance produced in the body that binds to cannabinoid receptors Ref: guyton and hall textbook of medical physiology 12 edition page number:699,700,701